Substantia gelatinosa corresponds to
1. Rexed laminae I
2. Rexed laminae II
3. Rexed laminae III
4. Rexed laminae IV

Correct answer: 2. Rexed laminae II

Explanation: The Rexed laminae comprise a system of ten layers of grey matter (I-X), identified in the early 1950s by Bror Rexed to label portions of the grey columns of the spinal cord NOTE: Lamina I: posteromarginal nucleus Lamina II: substantial gelatinosa of Rolando Laminae III and IV: nucleus proprius Lamina V& VI: base of the dorsal horn. Lamina VII: intermediomedial nucleus, intermediolateral nucleus, nucleus dorsalis Lamina VIII & IX: medial and lateral groups of nuclei of anterior grey column Lamina X: Central Zone, grey matter surrounding the central canal ref - vishram singh neuroanatomy 2e pg59